Pseudoarterial aneurysm in drug abuser's seen in
1. Radial
2. Brachial
3. Femoral
4. Carotid

Correct answer: 3. Femoral

Explanation: Pseudoaneurysm is a rare condition arising from disruption in arterial wall with blood dissecting into the tissues around the damaged artery creating a perfused sac that communicates with the arterial lumen. Its incidence is on rise due to increase in endovascular procedures, hemodialysis and intravenous drug abuse. Here we report an young male who was found by a NGO worker, lying on roadside near a Mandir with a pulsatile inguinal swelling and blood oozing out from it. He was taken immediately to emergency department of LN Hospital. He was a rickshaw puller and known drug addict. The swelling was diagnosed as pseudo-aneurysm of common femoral artery on clinical examination and by Doppler ultrasonogrphy. He was referred to CTVS department and admitted there for surgery. In the meanwhile, he collapsed in the hospital toilet and died due to hemorrhagic shock consequent upon rupture of pseudo- aneurysm of femoral artery. Ref: Rutherford vascular surgery 6th edition pvolume II Pgno : 248-249